A patient admitted in casualty after RTA- shows bruising behind the mastoid- This sign is known as.
1. Prehn sign
2. Battle sign
3. Catel Sign
4. Dietel's sign

Correct answer: 2. Battle sign

Explanation: Ans. (b) Battle sign* Battle sign is due to Fracture of base of skull* Middle cranial fossa fracture is associated with Battle sign